Vitamin C is necessary in the formation of collagen. It is required for the conversion of:
1. Proline to hydroxyproline
2. Beta-carotene to vitamin A
3. Glutamate to gamma-carboxyglutamate
4. Pyridoxine to pyridoxal phosphate

Correct answer: 1. Proline to hydroxyproline

Explanation: Ans. (a) Proline to hydroxyprolineRef: Harpers Biochemistry, 30th ed. pg. 47, 562* Ascorbic acid is needed for a variety of biosynthetic pathways, by accelerating hydroxylation and amidation reactions.* In the synthesis of collagen, ascorbic acid is required as a cofactor for following enzymes:# Prolyl hydroxylase# Lysyl hydroxylase* These two enzymes are responsible for the hydroxylation of the proline and lysine amino acids in collagen.* Remember, Hydroxyproline and hydroxylysine are important for stabilizing collagen by cross-linking the propeptides in collagen.* Clinical effects if there is defective collagen fibrillogenesis:# Impaired wound healing.# Impaired bone bormation# Abnormal bleeding due to fragile capillaries.